Liddle syndrome is characterized by
1. Hypokalemic metabolic alkalosis with hypotension
2. Hypokalemic metabolic alkalosis with hypertension
3. Hyperkalemic metabolic acidosis with hypotension
4. Hyperkalemic metabolic acidosis with hypertension

Correct answer: 2. Hypokalemic metabolic alkalosis with hypertension

Explanation: Liddle syndrome is an autosomal dominant disorder  with genetic defect(gain of function mutation) in collecting tubules sodium channel, resulting in increased tubular sodium reabsorption.